The first sign of Vitamin A deficiency is
1. Conjunctival xerosis
2. Corneal ulcer
3. Keratomalacia
4. Bitot's spot

Correct answer: 1. Conjunctival xerosis

Explanation: Modified classification WHO (Xerophthalmia) XN: Night blindnessXIA: Conjunctival xerosis XIB: Bitot's spotsX2: Corneal xerosisX3A: Corneal ulceration/keratomalacia less than 1/3rd corneal surfaceX3B: Corneal ulceration/keratomalacia equal to or more than 1/3rd corneal surface XS: Corneal scarXF: Xerophthalmia fundus.